Secular trend is demonstrated by
1. Pic chart
2. Line diagram
3. Scatter diagram
4. Pictogram

Correct answer: 2. Line diagram